In hypothermia, cause of death is -
1. Stroke
2. Cardiac arrest
3. Pulmonary embolism
4. Asphyxia

Correct answer: 2. Cardiac arrest

Explanation: Ans. is 'b' i.e., Cardiac arrest o The pulse rate slows as body tempreature drops, such that it can become difficult to tell if there are signs of life,o Normal sinus rhythm becomes sinus bradycardia slow atrial fibrillation and other slow heart rhythms before asystole ensues.